The immune system in asthmatics is skewed to which of the following category?
1. Th1 phenotype
2. Th2 phenotype
3. Th3 phenotype
4. Th0 phenotype

Correct answer: 2. Th2 phenotype

Explanation: CD4+ effector T cells form two subpopulations distinguished by the different panels of cytokines they secrete: 1. TH1 subset - secretes IL-2, IFN-gama, and TNF-alpha. The TH1 subset is responsible for classic cell-mediated functions, such as delayed-type hypersensitivity and the activation of cytotoxic T lymphocytes and for the production of opsonization-promoting IgG antibodies. 2. TH2 subset - secretes IL-4, IL-5, IL-6, IL-10 and IL-13. The TH2 subset stimulates eosinophil activation and differentiation, provides help to B cells, and promotes the production of relatively large amounts of IgM, IgE, and noncomplement-activating IgG isotypes. The TH2 subset also supports allergic reactions. Asthma and atopic dermatis are examples of TH2 mediated diseases. Ref: Harrisons Principles of Internal Medicine, 18th Edition, Table 314-6.143.